All are features of Paget's disease except -
1. Defect in osteoclasts
2. Common in female
3. Can cause deafness
4. Can cause osteosarcoma

Correct answer: 2. Common in female

Explanation: Paget's disease affects from 1.5 to 8.0 percent of the population, and is most common in those of British descent. It is primarily diagnosed in older people, and is rare in people less than 55 years of age. Men are more commonly affected than women (3:2). The disease is named after Sir James Paget X RAY OF SKULL OF PAGETS DISEASE Ref essential orthopaedic maheshwari and mhaskar 9/e